False about Duane's retraction syndrome
1. Fibrous tightening of lateral or medial rectus muscles
2. Narrowing of palpebral fissure on attempted abduction
3. Congenital ocular motility defect
4. All the above

Correct answer: 2. Narrowing of palpebral fissure on attempted abduction

Explanation: Narrowing of palpebral fissure on attempted adduction.